Treatment for stage T3N1 of carcinoma maxilla is
1. Surgery only
2. Surgery and radiation
3. Radiation therapy only
4. Chemotherapy and radiation

Correct answer: 2. Surgery and radiation

Explanation: Maxillary carcinoma is of two types Squamous cell carcinoma -- (MC. type of carcinoma) Adenocarcinoma T/T of maxillary carcinoma Squamous cell carcinoma - Combination of Surgery and radiotherapy gives better res is than either alone. Radiotherapy can be given before or after surgery (The t/t is same in every stage of maxillary carcinoma) Adenocarcinoma - Radiotherapy is ineffective, so only surgery is done.